Which of the following study is used to study more than one possible outcomes -
1. Cohort study
2. Case control study
3. Cross sectional study
4. Case reports

Correct answer: 1. Cohort study

Explanation: Ans. is 'a' i.e., Cohort study * Cohort study can yield information about more than one disease outcome. Main differences between case control and cohort studies Case control studyCohort study1.Proceeds from "effect to cause".Proceeds from "cause to effect"2.Starts with the disease.Starts with people exposed to risk factor or suspecte cause.3.Tests whether the suspected cause occurs more frequently inTests whether disease occurs more frequently in those those with the disease than among those without the disease.exposed, than in those not similar exposed.4.Usually the first approach to the testing of a hypothesis, but also useful for exploratory studies.Reserved for testing of precisely formulated hypothesis.5.Involves fewer number of subjects.Involves larger number of subjects.6.Yields relatively quick results.Long follow-up period often needed, involving delayed7.Suitable for the study of rare diseases.results. Inappropriate when the disease or exposure under8.Generally yields only estimate of RR (odds ratio).investigation is rare.9.Cannot yield information about diseases other than thatYields incidence rates, RR as well as AR. selected for study.Can yield information about more than one disease outcome.10. Relatively inexpensive.Expensive.